Not a Direct function of hypothalamus:
1. Food intake
2. Heart rate increased with exercise
3. Control of various endocrine and activity rhythm
4. Temperature regulation

Correct answer: 2. Heart rate increased with exercise

Explanation: Ans- B. Heart rate increased with exerciseMain Functions of Hypothalamus* Temperature* Neuroendocrine control of catecholamines regulation* Appetitive behavior Thirst and hunger* Neuroendocrine control of vasopressin* Defensive reactions Fear and rage* Neuroendocrine control of oxytocin* Sexual behavior* Neuroendocrine control of TSH via TRH* Control of various endocrine activity, rhythm* Neuroendocrine control of FSH, LH via LHRH* Neuroendocrine control of prolactin via PIH and PRH* Neuroendocrine control of GH via somatostatin and GRH